All the following are features of Tropical Pulmonary Eosinophilia except -
1. Eosinophilia > 3000/mm3
2. Microfilaria in blood
3. Paroxysmal cough and wheezing
4. Bilateral chest mottling and increased broncho-vascular markings

Correct answer: 2. Microfilaria in blood